Common CNS lesions in HIV is caused by -
1. Cryptococcus
2. Herpes simplex
3. Neurocysticercosis
4. Mucormycosis

Correct answer: 1. Cryptococcus

Explanation: The typical CNS opportunistic infections are toxoplasmosis and cryptococosis. REF:ANANTHANARAYAN AND PANIKER'S TEXTBOOK OF MICROBIOLOGY 9TH EDITION PAGE NO-576